Fibrocartilage is present in all, EXCEPT:
1. Pinna
2. Symphysis pubis
3. Intervertebral disc
4. Menisci of knee joint

Correct answer: 1. Pinna

Explanation: Fibrocartilage is a white opaque structure due to dense collage fibres (type I and II). When a fibrous tissue is subjected to pressure it is replaced by fibrocartilage. It is seen in joints, symphysis, intervertebral discs, menisci and labra (shoulder joint and hip joint). Pinna is a type of elastic cartilage. Elastic cartilages are seen at sites concerned with production or reception of sounds eg external acoustic meatus (lateral part), auditory tube and epiglottis.